AFP is raised in all except:
1. Polycystic kidney
2. Trisomy
3. IUD
4. Oesophageal atresia

Correct answer: 2. Trisomy

Explanation: As we have discussed earlier – AFP levels are raised in :

Under estimated gestational age
Decreased liqour
Decreased birth weight of infant and decreased maternal weight
IUD
Multifetal pregnancy (The amount of AFP entering the maternal circulation is proportional to the number of fetuses).
Defects which permit more release of AFP into maternal serum

– Neural tube defects
– Abdominal wall defects :

omphalocele
gastroschisis

– Pilonidal cysts
– Congenital skin defects

Maternal causes:

– Preeclampsia
– Maternal hepatoma, teratoma, endodermal sinus tumor
Shaw 14/e, p 380

Placental causes:

– Chorioangioma of placenta
– Placenta accreta
– Abruptio placentae